Type two schizophrenia is characterized by all except-
1. Negative symptoms
2. Poor response to TT
3. Disorganised behaviour
4. CT scan abnormal

Correct answer: 3. Disorganised behaviour

Explanation: Types of schizophrenia
Schizophrenia has traditionally been classified into two types -

Type I (reactive or acute):- It is characterized by acute onset; positive symptoms; good response to antipsychotics; good prognosis with the reversible outcome; Dopamine overactivity.
Type II (process):- It is characterized by chronic course; negative symptoms; poor response to antipsychotics; poor prognosis & outcome; no dopamine overactivity but structural changes of the brain (dilated ventricle) on CT scan.
Recently a third type (disorganized) has been proposed which is characterized by disorganized speech/thinking and disorganized behavior.